To which of the following family of chemical mediator of inflammation,the lipoxins belong
1. Kinin system
2. Cytokines
3. Chemokines
4. Arachidonic acid metabolites

Correct answer: 4. Arachidonic acid metabolites

Explanation: ref Robbins 7/e p69 lipoxins are a recent addition to the family of bioactive products generated from arachidonic acid.they have anti inflammatory activity